One of the following is characterised by RIM sign:
1. Hydronephrosis (Gross)
2. Hypernephroma
3. Chronic pyelonephritis
4. Polycystic kidney

Correct answer: 1. Hydronephrosis (Gross)

Explanation: Ans is 'a' ie Hydronephrosis (Gross) We will write down, what we have got so far about the 'rim sign'.The rim sign is seen in cases of ureteral calculi.[The"rim sign," originally reported by Smith in 1995, is described as a rim, ring, or halo of soft tissue visible on CT scans that completely surrounds ureteral stones. The effect is enhanced by the local inflammation a stone produces in the ureteral wall, with subsequent edema at the site of the calculus. The rim sign is generally missing or incomplete with phleboliths. While not absolutely definitive, the rim sign is strong evidence that the calcific density it surrounds is a stone and not a phlebolith. In several studies, more than 75% of all ureteral stones demonstrated a rim sign, while only 2-8% of phleboliths demonstrated it. The rim sign is more likely to be present in small or medium stones up to 5 mm in diameter. Larger stones, bigger 6 mm, tend to lose the rim sign, presumably from stretching and thinning of the ureteral wall around a relatively large calculus. (Ref: http://radioloev.rsna.ors/content/202/3/709.abstract: httv://emedicine.medscave.com/article/456872-overview) 1 Rim sign has also been mentioned in cases of renal infarction, but here its k/a cortical rim sign.[Cortical rim sign: Entire kidney is nonenhancing except for the outer 2 to 4 mm of cortex, which are perfused by capsular branches (Ref: http://www. learningradiologv.com/notes/gunotes/renalinfarctpage.htm) 7Spider leg appearance - Polycystic kidney*Cobra head appearance - Ureterocele*Flower vase appearance of ureters - Horse shoe kidney*Sandy patches - Schistosomiasis of bladder*Soap bubble appearance - Hydronephrosis*Apple core lesion on barium enema - Ca colon*Claw appearance on barium enema - Intussusception*Saw tooth appearance - Diverticula of colon*Birds beak appearance of esophagus on barium meal - Achalasia*Cork screw appearance of esophagus on barium meal - Diffuse esophageal spasm*String sign of Kantor - Crohn's ds*Thumb printing sign - Ischemic colitis* Now as far as the answer is concerned, among the given options "hydronephrosis" appears to be the best choice, as ureteric calculi would lead to hydronephrosis.